A 22-year-old man presented to his family physician with a laceration of the fibrous sheets or bands that cover his body under the skin and invest the muscles. Which of the following structures would most likely be injured?
1. Tendon
2. Fascia
3. Synovial tendon sheath
4. Aponeurosis

Correct answer: 2. Fascia

Explanation: - The fascia is a fibrous sheet or band that covers the body under the skin and invests the muscles. -Tendons connect muscles to bones or cartilage, -Aponeuroses serve as the means of origin or insertion of a flat muscle, - Synovial tendon sheaths are tubular sacs filled with synovial fluid that wrap around the tendons.